Sensory supply of vocal cord is
1. Internal laryngeal nerve
2. Recurrent laryngeal nerve
3. Superior laryngeal nerve
4. All of the above

Correct answer: 4. All of the above

Explanation: "Above the vocal cords, the sensory innervations of the larynx is internal laryngeal nerve (a branch of superior laryngeal nerve). Below vocal cords, it is by the branches of recurrent laryngeal nerve. The vocal cord itself receives dual innervations from both nerves". Ref: PL Dhingra, Diseases of Ear, Nose & Throat, 7th edition, pg no. 322